Commonest site of Ca breast is:
1. Upper outer quadrant
2. Upper inner quadrant
3. Lower outer quadrant
4. Lower inner quadrant

Correct answer: 1. Upper outer quadrant

Explanation: Ans: a (Upper outer quadrant) Ref: Bailey & Love, 24th ed, p. 837Note:Breast carcinoma with good prognosis evenwith axillary lymph nodes-Medullary CaBull's eye appearance is seen in- Invasive lobularDesmoplastic reaction is shown by- Ductal invasiveComedo carcinoma is- Ductal carcinoma in situ (DCIS)Most common variant of breast carcinoma- Ductal invasiveLobular carcinoma - Multicentnc and bilateralThe underlying lobular architecture can still be recognized on microscopic examination "Indian file pattern" is seen.